Blood vessels can be harvested from a body after death, for the purpose of transplantation latest by?
1. 8 hours
2. 12 hours
3. 48 hours
4. 72 hours

Correct answer: 4. 72 hours

Explanation: The periods within which some organs should be removed are as follows: Cornea - 6 hours Skin - 24 hours Bone - 48 hours Blood vessels - 72 hours Ref: Essentials of Forensic Medicine and Toxicology by Narayan Reddy, 21st Edition, Page 112.